True statement regarding inverse agonists is?
1. Binds to receptor and causes intended action
2. Binds to receptor and causes opposite action
3. Binds to receptor and causes no action
4. Binds to receptor and causes submaximal action

Correct answer: 2. Binds to receptor and causes opposite action

Explanation: Ans. is 'b' i.e., Binds to receptor and causes opposite action